Coral red colour on Wood's lamp is seen in?
1. Rversicolor
2. Amyloidosis
3. Melasma
4. Erythrasma

Correct answer: 4. Erythrasma

Explanation: ANSWER: (D) ErythrasmaREF: Rook's 8th ed P. 30.11Repeat Dermatology 2013 Session 1